Which of the following is the ovarian counterpart of testicular seminoma
1. Brenner's tumor
2. Endodermal sinus tumor
3. Dermoid
4. Dysgerminoma

Correct answer: 4. Dysgerminoma

Explanation: Ovarian counterpart of testicular seminoma is dysgerminoma.